Anterior pituitary secretes
1. ADH
2. Oxytocin
3. FSH
4. GnRH

Correct answer: 3. FSH

Explanation: (C) FSH # Pituitary gland divided into anterior and posterior:> From Anterior lobe: TSH, ACTH, FSH, LH, GH, Prolactin, B-Lipotropin> From Intermediate lobe: Melanocyte stimulating hormone> From Posterior Lobe: Vasopressin, Oxytocin